Treatment for superficial bladder carcinoma with single papillary lesion is
1. Transurethral resection
2. Intravesical immunotherapy
3. Radical cystectomy
4. Intravesical Chemotherapy

Correct answer: 1. Transurethral resection

Explanation: For low grade tumor of pTa stage only TUR (Transurethral resection of
bladder) is done.